If cellular proteins do not fold into a specific conformation, their functions are affected. Certain disorders arise, if specific proteins are misfolded. Which of the following disorders arises due to conformational isomerization?
1. Familial fatal insomnia
2. Hepatitis delta
3. Pernicious anemia
4. Lesch-Nyhan syndrome

Correct answer: 1. Familial fatal insomnia

Explanation: Familial fatal insomnia